Which of the following statements about peptic ulcer disease is true?
1. Helicobacter pylori eradication increases likelihood of occurrences of complication
2. The incidence of hospitalizations has reduced
3. The incidence of helicobacter pylori infection in India is very low
4. Helicobacter pylori eradication does not alter the recurrence ratio

Correct answer: 2. The incidence of hospitalizations has reduced

Explanation: Helicobacter pylori eradication has reduced complications and recurrence of peptic ulcer. Due to low socio-economic status and feco-oral contamination favoring spread of H. Pylori the incidence in India is high. The greatest impact of understanding the role of H. pylori in peptic disease has been the ability to prevent recurrence. Eradication of the organism may lead to diminished recurrent ulcer bleeding.